1 Sv is
1. 100 rads
2. 100 rem
3. Both
4. None

Correct answer: 2. 100 rem

Explanation: 1 Gy = 100 rads
1 Sv = 100 rem